Which of the following is not true about epithelial-mesenchmyal transition (EMT)?
1. Controlled by the transcription factors SNAIL and TWIST
2. Upregulation of E-cadherin expression
3. Integral to the metastasis of carcinomas
4. Homotypic intercellular adhesion is lost

Correct answer: 2. Upregulation of E-cadherin expression

Explanation: Dissociation of cancer cells from one another is often the result of alterations in intercellular adhesion molecules and is the first step in the process of invasion. E-cadherins are transmembrane glycoproteins that mediate the homotypic adhesion of epithelial cells, holding them together. In many epithelial cancers it is hypothesized that E-cadherin expression is silenced, at least transiently, through a process called epithelial-mesenchymal transition (EMT). Postulated that EMT is integral to the metastasis of carcinomas, particularly breast and prostate cancers EMT is controlled by the transcription factors SNAIL and TWIST Downregulation of epithelial markers (e.g., E-cadherin) Concomitant upregulation of mesenchymal markers (e.g., vimentin and smooth muscle actin)